The most common cyst of the oral region is -
1. Dentigerous cyst
2. Keratosis cyst
3. Dermoid cyst
4. Periapical cyst

Correct answer: 4. Periapical cyst

Explanation: Ans. (d) Periapical cystRef: Scott-Browns Otorhinolaryngology 7/e p 1924-1925Periapical Cyst (Radicular Cyst)* MC type of Jaw cyst* Inflammatory origin* Found at the apex of teeth.* Result in long standing Pulpitis.* Removal of irritant material and tooth extraction.